True about Nipah virus are all except -
1. Is a paramyxovirus
2. Causes hemorrhagic fever
3. Emerging infection
4. Present in India

Correct answer: 2. Causes hemorrhagic fever

Explanation: Ans. Is 'b' i.e., Causes hemorrhagic fever o Nipah virus is an emerging infectious agent belongs to paramvxoviridae.o It was first isolated in Malaysia in 1998, causing encephalitis in domestic pigs, with direct transmission from pigs to human.o There have been Nipah virus infection outbreaks in pigs in Malaysia and Singapore and human disease in Malaysia, Singapore, India and Bangladesh.o Typically the human infection presents as an encephalitis syndrome marked by fever headache, drowsiness, disorientation, mental confusion, coma and death.